Most common location of SEGA (sub ependymal giant cell strocytoma)
1. Foramen of monro
2. Foramen of luschka
3. Foramen of magendine
4. Roof of lateral ventricle

Correct answer: 1. Foramen of monro

Explanation: Foramen of monro is the most common site for SEGA.